Indoor air pollution does not lead to:
1. Chronic lung disease
2. Impaired neurological development
3. Adverse pregnancy outcome
4. Pneumonia in child

Correct answer: 2. Impaired neurological development

Explanation: Indoor air pollution can lead to chronic lung disease, adverse pregnancy outcome and pneumonia in child.Indoor Air PollutionThe commonest pollutant is tobacco smoke, but additional offenders are CO, nitrogen dioxide, and asbestos. Volatile substances containing polycyclic aromatic hydrocarbons generated by cooking oils and coal burning are important indoor pollutants in some regions of China.Wood smoke, containing various oxides of nitrogen and carbon particulates, may not only be an irritant but also predisposes to lung infections and may contain the far more dangerous carcinogenic polycyclic hydrocarbons. Bioaerosols range from microbiologic agents capable of causing infectious diseases such as Legionnaires' disease, viral pneumonia, and the common cold, to less threatening but nonetheless distressing allergens derived from pet dander, dust mites, and fungi and molds responsible for rhinitis, eye irritation, and asthma.Radon, a radioactive gas derived from uranium widely present in soil and in homes, can cause lung cancer in uranium miners.Exposure to formaldehyde causes breathing difficulties and a burning sensation in the eyes and throat, and can trigger asthma attacks.